Which of the following statement are true regarding asthma?
1. Occlusion of bronchi and bronchioles by mucus
2. Curschmann spirals
3. Charcot-Leyden crystals
4. All of the above

Correct answer: 4. All of the above

Explanation: Sputum or bronchoalveolar lavage specimen findings - Curschmann spirals (extrusion of mucus plugs from subepithelial mucous gland ducts or bronchioles). Numerous eosinophils and Charcot-Leyden crystals; the latter are composed of an eosinophil protein called galectin-10. Creola bodies The other characteristic histologic findings of asthma, collectively called "airway remodeling".